In pyogenic liver abscess commonest route of spread is
1. Hematogenous through portal vein
2. Ascending infection through biliary tract
3. Hepatic artery
4. Local spread

Correct answer: 2. Ascending infection through biliary tract

Explanation: Routes of spread 1st most common - Biliary tract 2nd most common - portal vein